Human B-cell lymphotropic virus belongs to:
1. Picorna virus
2. Pox virus
3. Reovirus
4. Herpes virus

Correct answer: 4. Herpes virus

Explanation: Ans. d. Herpes virus